Pulmonary segments in middle lobe of right lung are:
1. Medial
2. Upper
3. Lower
4. All

Correct answer: 1. Medial

Explanation: A. i.e. Medial